Cerebral palsy in which upper limb is less affected than lower limb
1. Spastic diplegia
2. Spastic paraplegia
3. Spastic Quadriplegia
4. Spastic hemiplegia

Correct answer: 1. Spastic diplegia

Explanation: Ans. is 'a' i.e., Spastic diplegia